All of the following are classified as primary supports of uterus except :
1. Transcervical ligament
2. Pubocervical ligament
3. Uterosacral ligament
4. Broad ligament

Correct answer: 4. Broad ligament

Explanation: Broad ligament Supports of uterus are classified as : Primary supports 1. Muscular or active support 1. Pelvic diaphragm (formed by levator ani muscle) 2. Perinea! bodydeg 3. Urogenital diaphragm (deep transverse pereneii muscles enclosed). 2. Fibromuscular or mechanical support 1. Uterine axisdeg 2. Pubocervical ligamentdeg 3. Transverse cervical ligamentdeg (cardinal ligament) 4. Uterosacral ligamentdeg 5. Round ligament of uterus.deg Broad ligament (fold of peritoneum) is a secondary support of uterus and its role as support is doubtful. Other secondary supports are : Utero vesical fold of peritoneum. - Rectovaginal fold of peritoneum NOte : Main Support which prevents descent of the uterus is transverse cervical ligament (cardinal ligament) and its posterior extension - the uterosacral ligament.